A 16 year old female presents with generalised weakness and palpitations. Her Hb is 7g/dl and peripheral smear shows microcytic hypochromic anaemia, reticulocyte count = 0.8 % serem bilirubin =1 mg%. The most likely diagnosis is -
1. Iron deficiency is
2. Haemolytic anaemia
3. Aplastic anaemia
4. Folic acid deficiency

Correct answer: 1. Iron deficiency is